Anterior pituitary secrets all except
1. Growth hormone
2. FSH
3. Oxytocin
4. Prolactin

Correct answer: 3. Oxytocin

Explanation: Posterior pituitary secrets oxytocin and ADH Oxytocin (Oxt) is a peptide hormone and neuropeptide. Oxytocin is normally produced in the hypothalamus and released by the posterior pituitary. It plays a role in social bonding, sexual reproduction, childbirth, and the period after childbirth.